HMB 45 is a tumor marker for
1. Neuroblastoma
2. Neurofibroma
3. Malignant melanoma
4. Angiosarcoma

Correct answer: 3. Malignant melanoma

Explanation: Malignant melanoma expresses HMB45 ,S-100 and vimentin 
HMB 45 is present in melanosome and is more specific 
S-100 is more sensitive but is non specific (also present in LAngerhan's cell histiocytosis, neural tumors and sarcomas like Liposarcoma and Chondrosarcoma)